E cadherin gene deficiency is seen in
1. Gastric cancer
2. Intestinal cancer
3. Thyroid cancer
4. Pancreatic cancer

Correct answer: 1. Gastric cancer

Explanation: Ref Robbins 9/e p291 Cadherins is derived from the calcium dependant adherence protein.It participate in interactions between cells of same type.The linkage of cadherins with the cytoskeleton occurs through the catenins.The cell to cell interactions mediated by cadherins and catenins play a major role in regulating cell motility, proliferation,and differentiation and account for the inhibition of cell proliferation that occurs when cultured normal cells contact each other ( contact inhibition) Reduced functions of E cadherins is associated with certain types of breast and gastric cancer